Choose the TRUE statement/s about mucormycosis:
1. Nose is a common site
2. Diabetics is a predisposing factor
3. Common in India
4. All of the above

Correct answer: 4. All of the above

Explanation: Mucormycosis Caused by - rhizopus, rhizomucor, cunninghamella. The higher prevalence of mucormycosis in India turned out to be statistically significant (p < ? 0001. in comparison with all other countries Predisposing factors: Organ transplant recipients Long term desferroxamine therapy Immunosuppression due to steroids or cytotoxic drugs Hematological malignancy Diabetis Mellitus Chronic renal failure Five forms of mucormycosis are: Rhinocerebral (most common site) Pulmonary mucormycosis (2nd most common) Cutaneous Gastrointestinal Disseminated Miscellaneous Diagnosis: Biopsy with histopathologic examination is the most sensitive and specific modality for definitive diagnosis. Biopsy shows wide, thick walled, ribbon like, aseptate hyphal elements that branch at acute angles.